Which of the following trace element has Vitamin E sparing effect ?
1. Copper
2. Iron
3. Magnesium
4. Selenium

Correct answer: 4. Selenium

Explanation: Ans. is 'd' i.e., SeleniumSelenium prevents lipid peroxidation and offers protection against free radicals.Vitamin E also has the same effect (antioxidant) though by a different mechanism.Thus selenium and vitamin E supplement each other.Availability of vitamin E reduces the selenium requirment and conversely, in selenium-deficient tissue, vitamin E is depleted.